The most common site for myocardial infarction is :
1. Left atrium
2. Left ventricle
3. Right atrium
4. Right ventricle

Correct answer: 2. Left ventricle

Explanation: Answer is B (Left ventricle) The most common site of myocardial infarction is the anterior wall of Left ventricle. Anterior wall MI 1. True Anterior Wall Occlusion of Left Anterior Descending artery (LAD) 2. Anteroseptal Infarction Occlusion of Left Anterior Descending artery (LAD) 3. Anterolateral infarction Occlusion of Left coronary artery thereby causing ischemia in region supplied by LAD artery and circumflex artery (lateral wall)